All of the following statements regarding niacin indicated flushing and pruritus are true except
1. Occurs due to release of prostaglandins by niacin
2. Move likely to occur if taken with ethanol containing beverages
3. Warrants stoppage of niacin immediately
4. Aspirin alleviates flushing in most patients

Correct answer: 3. Warrants stoppage of niacin immediately

Explanation: All of the following statements regarding niacin indicated flushing and pruritus are true except - warrants stoppage of niacin immediately.